Which of the following doesn't have any effect on pseudomonas?
1. Ticaracillin
2. Carbenicillin
3. Azlocillin
4. Naficillin

Correct answer: 4. Naficillin

Explanation: Nafcillin is a narrow-spectrum bactericidal antibiotic agent of the penicillin class. It is useful for susceptible infections due to penicillinase-producing staphylococci. Piperacillin and Mezlocillin also acts on pseudomonas.